Best index for measuring efficacy of contraception is,
1. Pearl Index
2. Life Table Analysis
3. Couple protection rate
4. None of the above

Correct answer: 2. Life Table Analysis